A 22-year-old obese female experiences right eye diplopia. She had weight gain in last year and her current BMI is 35. Her fundus examination reveals papilledema on the right side. The most likely cause of her symptoms is?
1. Craniopharyngioma
2. Idiopathic Intracranial Hypertension
3. Optic neuritis
4. Sagittal sinus thrombosis

Correct answer: 2. Idiopathic Intracranial Hypertension

Explanation: Disease Features Craniopharyngioma -Presents in children and adults after 55 years -Features of raised ICT -Visual field defects like Bi-temporal hemianopia. Idiopathic intracranial hypertension -Obese women -Headache and sixth nerve palsy. - Raised I.C.P causes papilledema. Optic neuritis -Acute inflammatory condition of the optic nerve. -Causes painful eye movements and visual loss. Fundus looks normal due to retrobulbar pathology. Sagittal sinus Thrombosis -Setting of Risk factors OCP, Pregnancy, Postpartum period, Polycythemia -Headache, vomiting, seizures -Paraparesis.